Dermatophytoses is caused by -
1. Herpes simplex
2. papillomavirus
3. Trichophyton
4. Candida

Correct answer: 3. Trichophyton